Which of the following lead to an outbreak of Influenza in China in 2013 -
1. H
1
N
1
2. H
3
N
2
3. H
2
N
2
4. H
7
N
9

Correct answer: 4. H
7
N
9

Explanation: In china, there was an outbreak of influenza caused by Avian influenza H7N9, in 2013.
It started in china and spread to Hong Kong.
Most common age group affected was older male (> 50 years).